DeQuervains thyroiditis is also known as
1. Granulomatous thyroiditis
2. Struma lymphomatosa
3. Acute thyroiditis
4. Hashimotos thyroiditis

Correct answer: 1. Granulomatous thyroiditis

Explanation: Refer Robbins page no DeQuervains thyroiditis is also referred to as Granulomatous thyroiditis